A female with 35-week gestation, presents in emergency with complaint of headache and blurring of vision. Her BP is 170/110 mm Hg. How is the patient managed?
1. Admit and observe
2. Admit, control BP, and continue pregnancy till term
3. Admit, start Magnesium sulfate and antihypertensive and terminate the pregnancy
4. Start antihypertensives and follow in OPD

Correct answer: 3. Admit, start Magnesium sulfate and antihypertensive and terminate the pregnancy

Explanation: Ans. C. Admit, start Magnesium sulfate and antihypertensive and terminate the pregnancyBeyond 34 weeks (fetal pulmonary maturity), pregnancy with severe pre-eclampsia should be terminated. Patient is admitted and stabilized, with baseline investigations, antihypertensives are started to prevent acute hypertensive complications, magnesium sulphate is given for seizure prophylaxis and induction of labor is started if no contraindications to vaginal delivery exist.